An individual has been determined to have hypertriglyceridemia, with a triglyceride level of 350 mg/dL (normal is <150 mg/dL). The patient decides to reduce this level by keeping his caloric intake the same, but switching to a low-fat, low-protein, high-carbohydrate diet. Three months later, after sticking faithfully to his diet, his triglyceride level was 375 mg/dL. This increase in lipid content is being caused by which component of his new diet?
1. Phospholipids
2. Triglycerides
3. Amino acids
4. Carbohydrates

Correct answer: 4. Carbohydrates

Explanation: Dietary glucose is the major source of carbon for synthesizing fatty acids in humans. In a high-carbohydrate diet, excess carbohydrates are converted to fat (fatty acids and glycerol) in the liver, packaged as VLDL, and sent into the circulation for storage in the fat cells. The new diet has reduced dietary lipids, which lower chylomicron levels, but the excess carbohydrate in the diet is leading to increased VLDL synthesis and elevated triglyceride levels. Dietary amino acids are usually incorporated into proteins, particularly in a low-protein diet.